Carboxylation of clotting factors by vitamin K is required to be biologically active. Which of the following amino acid is carboxylated?
1. Histidine
2. Histamine
3. Glutamate
4. Aspartate

Correct answer: 3. Glutamate

Explanation: Vitamin K has an important role in the blood clotting process. It brings about the posttranslational modification of certain blood clotting factors clotting factor II, VII, IX, X Vitamin K is required for the post-translational carboxylation of glutamic acid (Gamma Carboxylation), which is necessary for calcium binding to g carboxylated proteins clotting factors are synthesized as inactive precursors (zymogens) in the liver ref DM Vasudevan 8th ed page 462